Halting a disease at its incipient stages and preventing its complications is known as:
1. Primordial prevention
2. Primary prevention
3. Secondary prevention
4. Tertiary prevention

Correct answer: 3. Secondary prevention